The adjuvant used in DPT vaccine is ?
1. Al
2. Mg
3. Zn
4. Formaldehyde

Correct answer: 1. Al

Explanation: Ans. is 'a' i.e., Al